The right lobe of liver consists of which of the following segments -
1. V, VI, VII and VIII
2. IV, V, VI, VII and VIII
3. I, V, VI, VII and VIII
4. I, IV, V, VI, VII and VIII

Correct answer: 1. V, VI, VII and VIII

Explanation: Right lobe → Segment V, VI, VII, and VIII.
Left lobe → Segment I, II, III, IV.